Insertion of extensor carpi ulnaris
1. Base of proximal phalanx of thumb
2. Base of Distal phalanx of thumb
3. Base of 5th Metacarpal
4. Scaphoid base

Correct answer: 3. Base of 5th Metacarpal

Explanation: Ans. is 'c' i.e., Base of 5th MetacarpalExtensor carpi ulnariso Origin : Lateral epicondyle of humerus and posterior border ulnao Insertion : Base of 5th metacarpalo Nerve supply : Posterior interosseus nerveo Action : Extension (dorsiflexion) and adduction of hand.